A patient met with Road traffic Accident with subsequent injury to the left knee. Dial test was positive. What could be the cause:
1. Medial Collateral Ligament Injury
2. Medial Meniscal Injury
3. Lateral Meniscus Tear
4. Posterolateral Corner Injury

Correct answer: 4. Posterolateral Corner Injury

Explanation: D i.e. Posterolateral Corner Injury